First ocular sign of Vitamin A deficiency ?
1. Bitot's spot
2. Conjunctival xerosis
3. Night blindness
4. Keratomalacia

Correct answer: 2. Conjunctival xerosis

Explanation: Ans. is 'b' i.e., Conjunctival xerosis